Combined indicator to reflect both acute and chronic malnutrition is
1. Low height-for-age
2. Low weight-for-height
3. Low height-for-weight
4. Low weight-for-age

Correct answer: 4. Low weight-for-age

Explanation: Indicators of undernutrition Indicator Interpretation Comment Stunting Low height-for-age Indicator of chronic malnutrition, the result of prolonged food deprivation and/ or disease or illness Wasting Low weight-for-height Suggests acute malnutrition, the result of more recent food deficit or illness Underweight Low weight-for-age Combined indicator to reflect both acute and chronic malnutrition Reference: Paediatrics; O.P Ghai; 8th edition; Page no: 95